The most common histopathological type of malignant melanoma of choroid is:
1. Spindle - A cell
2. Spindle-B cell
3. Epitheloid cell
4. Mixed cell

Correct answer: 4. Mixed cell

Explanation: Ans. Mixed cell